2nd heart sound is due to
1. Closure of AV valves
2. Closure of aortic valve
3. Inthrushing of blood
4. Atrial contraction

Correct answer: 2. Closure of aortic valve

Explanation: The second is a shorter, high-pitched "dup" (second sound), caused by vibrations associated with the closure of the aortic and pulmonary valves just after the end of ventricular systole.Ref: Ganong's Review of medical physiology 25th edition. Page: 542